Unwinding of DNA during replication is done by
1. Ligase
2. Helicase
3. Polymerase
4. Prinase

Correct answer: 2. Helicase

Explanation: Helicases are enzymes that bind and may even remodel nucleic acid or nucleic acid-protein complexes. There are DNA and RNA helicases. DNA helicases are essential during DNA replication because they separate double-stranded DNA into single strands allowing each strand to be copied Ref-Sathyanarayana 4/e